Most common complication of below knee stripping of varicose veins is:
1. Hemorrhage
2. Thromboembolism
3. Neuralgia
4. Infection

Correct answer: 3. Neuralgia

Explanation: Ideally, the long saphenous vein should not be stripped below the knee as it causes injury to the saphenous nerve which is the most common serious complication. The incidence of saphenous nerve neuralgia is up to 7 % following long saphenous vein stripping to the knee And the, most commonly injured nerve while stripping the short saphenous vein is sural nerve whose incidence of injury may be as high as 20%. Extra edge Vein of giacomini, connects the small saphenous vein with the great saphenous vein